A newborn whose weight is < 1500 g is termed as
1. Low birthweight
2. Very low birthweight
3. Extremely low birthweight
4. Extremely very low birthweight

Correct answer: 2. Very low birthweight

Explanation: Low birthweight: A newborn whose weight is < 2500 g. Very low birthweight: A newborn whose weight is < 1500 g. Extremely low birthweight: A newborn whose weight is < 1000 gThere is no term extremely very low birthweight(Ref: William's Obstetrics; 25th edition)